All are cholinergic agents except I
1. Galantamine
2. Donepezil
3. Tacrine
4. Memantine

Correct answer: 4. Memantine

Explanation: Refer kDT 6/e p 472,473 Donepazil, rivastigmine, gallantamine and tacrine are cholinergic drugs( due to inhibition of cholenesterase enzyme)useful for Alzheimer's disease Memantine is an NMDA blocker, used for Alzheimer's disease